"NO" MOVEMENT of head occurs at which joint:
1. Atlanto-occipital joint
2. Joint between C1 & C2
3. Joint between C2 & C3
4. Joint between C3 & C4

Correct answer: 2. Joint between C1 & C2

Explanation: Ans. B. Joint between C1 & C2 The atlantoaxial joint is a joint in the upper part of the neck between the first and second cervical vertebrae; the atlas and axis. It is a pivot joint. There is a pivot articulation between the odontoid process of the axis and the ring formed by the anterior arch and the transverse ligament of the atlas. The movement at this joint moves head side to side as if saying "no", thus this joint is also called "NO" MOVEMENT joint.